The most common complication of an aortic aneurysm size 8 cm is -
1. Rupture
2. Intramural thrombosis
3. Embolism
4. Calcification

Correct answer: 1. Rupture